True about tetanus is all except -
1. Tetanus protection 5 years if previously immunized
2. Herd immunity present
3. Can't be eradicated
4. Elimination is less than 1 case per 1000 births

Correct answer: 2. Herd immunity present